For international comparisons, perinatal mortality rate is calculated as late fetal deaths (28 weeks gestation or more) plus early neonatal deaths (first week) in a year per:
1. 100 live births
2. 1,000 live births
3. 10,000 live births
4. 1,00,000 live births

Correct answer: 2. 1,000 live births

Explanation: Ans. B: 1,000 live births For international comparisons, the WHO committee on the prevention of Perinatal Mortality and Morbidity recommend a more precise formulation: "Late foetal and early neonatal deaths weighing over 1000 gram at birth, expressed as a ratio per 1000 live births weighing over 1000 gram at birth" Perinatal mortality (PNM)/ Perinatal death It refers to the death of a fetus or neonate and is the basis to calculate the perinatal mortality rate. Variations in the precise definition of the perinatal mortality exist specifically concerning the issue of inclusion or exclusion of early fetal and late neonatal fatalities. The World Health Organization defines perinatal mortality as the "number of stillbirths and deaths in the first week of life per 1,000 live births", but other definitions have been used Fetal mortality refers to stillbirths or fetal death. It encompasses any death of a fetus after 20 weeks of gestation or 500 gm. In some definitions of the PNM early fetal mortality (week 20-27 gestation) is not included, and the PNM may only include late fetal death and neonatal death. Fetal death can also be divided into death prior to labor, antenatal (antepartum) death, and death during labor, intranatal (intrapartum) death Early neonatal mortality refers to a death of a live-born baby within the first seven days of life, while late neonatal mortality covers the time after 7 days until before 28 days. The sum of these two represents the neonatal mortality. Some definitions of the PNM include only the early neonatal mortality. Neonatal mortality is affected by the quality of in-hospital care for the neonate. Neonatal mortality and postneonatal mortality (covering the remaining 11 months of the first year of life) are reflected in the Infant Mortality Rate. The PNMR refers to the number of perinatal deaths per 1,000 total births. It is usually reported on an annual basis. It is a major marker to assess the quality of health care delivery.